Howel-Jolly bodies may be seen after -
1. Hepatectomy
2. Splenectomy
3. Pancreatectomy
4. Cholecystectomy

Correct answer: 2. Splenectomy

Explanation: Ans. is 'b' i.e., Splenectomy Chronic Manifestations of splenectomy include :Marked variation in size and shape of erythrocytes - anisocytosis / poikilocytesHowell - Jolly bodies : nuclear remnantsHeinz bodies : denatured haemoglobingBasophillic stipplingOccasional nucleated erythrocyte in peripheral bloodHowell-Jolly bodies are smooth round remnants of nuclear chromatin seen in erythrocytes in conditions like :o Megaloblastic anemia o After Splenectomy o Hemolytic anemia